Volunteering a statement can be done by:
1. Eyewitness
2. Medical witness
3. Hostile witness
4. IO

Correct answer: 2. Medical witness

Explanation: Ans. Medical witness